A 45 years old male presents with complain of black spots on his tooth surface. He gives a history of multiple gold restorations and insists on getting the same for this tooth.The intraoral examination reveals pit and fissure caries in relation to 16. During the condensation of the restorative material, the compacted surface should be
1. Saucer shaped, with the compaction on the external walls slightly ahead of the center
2. Convex in the center with the compaction on the external walls slightly ahead of the center
3. Flat in the center with the compaction on the external walls slightly ahead of the center
4. Flat throughout the floor

Correct answer: 1. Saucer shaped, with the compaction on the external walls slightly ahead of the center

Explanation: Generally the line of force is perpendicular to the pulpal floor in the center of the mass and at a 45-degree angle to the pulpal floor as the external walls are reached. At this stage and during all building of the restoration, the compacted surface should be saucer shaped, with the compaction of gold on the external walls slightly ahead of the center. The surface should never be convex in the center because this may result in voids in the gold and poor adaptation of the gold  along the external walls when the condenser nib is “crowded out” along the wall by the center convexity. The operator continues building the restoration until the cavosurface margin is covered with foil. One needs to exercise extreme care that gold is always present between the condenser face and the cavosurface margin; otherwise the condenser may injure (i.e., fracture) the enamel margin. The central area of the restoration’s surface is filled in to the desired level. Tooth surface contour of the gold is created to simulate the final anatomic form, and a slight excess of gold is compacted on the surface to allow for the finishing and polishing procedures.
Sturdevant operative dentistry  7th EDITION, Page No:131